Which electrolyte abnormality occurs after TRUP:
1. Hypokalemia
2. Hyponatremia
3. Hyperkalemia
4. Hypernatremia

Correct answer: 2. Hyponatremia

Explanation: Ans. (b) HyponatremiaRef: Bailey 26th Edition, page 1349* Most common electrolyte abnormality during TURP is HYPONATREMIA due to water intoxication.